Which One of the following is not a cause of secondary Postpartum Haemorrhage?
1. Placenta previa
2. Retained bits of placenta
3. Endometritis
4. Polyp

Correct answer: 1. Placenta previa

Explanation: Causes of secondary Postpartum Haemorrhage are: * Retained bits of placenta * Postpartum infection * Infection of Cervical and Vaginal Tears * Puerperal Inversion of Uterus * Uterine Polyp or Fibroid: * Undiagnosed carcinoma of cervix * Chorion-epithelioma REF : DUTTA BOOK OF OBSTETRICS